The INITIAL investigation of choice in acute budd chiari syndrome is:
1. ECHO
2. USG abdomen
3. CECT abdomen
4. Upper GI endoscopy

Correct answer: 2. USG abdomen

Explanation: Doppler sonography of the liver, with sensitivity and specificity of 85% or greater, is the technique of choice for initial investigation when BCS is suspected. Massive caudate lobe enlargement causing compression of the inferior vena cava in a patient with abdominal distention and pedal edema suggests the diagnosis of: Cirrhosis with portal vein thrombosis Budd chiari syndrome Hepatocellular carcinoma Cirrhosis with portal hypertension The caudate lobe is often spared in BCS as the emissary veins drain directly into the IVC at a lower level than the involved main hepatic veins. MUST KNOW: 1. It leads to caudatelobe hypertrophy. 2. The IVC may show narrowing due to compression by the enlarged caudate lobe. Ref: J Ultrasound Med 2006; 25:373-379.